Seen in trachoma are/is:
1. Papillary hypertrophy
2. Follicles
3. Panus formation
4. All

Correct answer: 4. All

Explanation: A i.e. Papillary hypertrophy; B i.e. Follicles; C i.e. Panus formation